The population covered by an ASHA
1. 500
2. 1000
3. 2000
4. 2500

Correct answer: 2. 1000

Explanation: In NRHM Cadre of Accredited Social Health Activist (ASHA) is created ASHA must be a women resident of the village, preferably 25-45 years with formal education up to 8th standard 1 ASHA for 1000 population. In tribal, hilly and desert areas the norm could be relaxed to 1 ASHA per habitation.Park 23e pg: 449